A young male presented with X-linked recessive disorder with hyperuricemia and mild retardation develops
1. Bronch chain amino acids metabolites deficiency
2. Hemogentisate oxidase defective enzymes
3. Hypoxanthine phosphoribosyl transferase deficiency
4. Phenylalanine hydroxylase deficiency

Correct answer: 3. Hypoxanthine phosphoribosyl transferase deficiency

Explanation: The X linked inherited disorder is Lesch Nyhan Syndrome. This is due to the deficiency of HGPRTase.The rate of Salvage Pathway of Purine is reduced.Ref: DM Vasudevan - Textbook of Biochemistry, 7th edition, page no: 568